Which of the following is not antioxidant?
1. Superoxide dismutase
2. Catalase
3. Coagulase
4. Glutathione peroxidase

Correct answer: 3. Coagulase

Explanation: Superoxide dismutase, Glutathione peroxidase, catalase are the key enzymatic antioxidants by which free radicals that are produced during metabolic reactions are removed.